Painless discharge from ear and multiple tympanic membrane perforations are characteristic of ?
1. Tuberculous otitis media
2. Fungal otitis media
3. Serous otitis media
4. Viral otitis media

Correct answer: 1. Tuberculous otitis media

Explanation: Ans. is 'a' i.e., Tubercular otitis media